Structures injured while resetting the free edge of lesser omentum -a) Portal veinb) Hepatic artery properc) Hepatic veind) Cystic ducte) Common bile duct
1. abc
2. bcd
3. abe
4. acd

Correct answer: 3. abe

Explanation: The right free margin of lesser omentum contains:-


Hepatic artery proper,
Portal vein,
Bile duct,
Lymph nodes & lymphatics, and
Hepatic plexus of nerves.